Clomiphene citrate is indicated in :
1. Stein - Leventhal syndrome
2. Ovarian cyst
3. Asherman's syndrome
4. Carcinoma endometrium

Correct answer: 1. Stein - Leventhal syndrome